All of the following can cause SLE–like syndrome except:
1. Isoniazid
2. Penicillin
3. Hydralazine
4. Sulphonamide

Correct answer: 2. Penicillin